Which of the following drugs can cause lupus due to low N-acetyl transferase activity in the blood?
1. Propranolol
2. Hydralazine
3. Digoxin
4. Captopril

Correct answer: 2. Hydralazine

Explanation: Drug induced lupus S- Sulpha drug, Simvastatin H- Hydralazine I - INH P- Procainamide